Single gene defect causing multiple unrelated problems is called?
1. Pleiotropism
2. Pseudodominance
3. Penetrance
4. Anticipation

Correct answer: 1. Pleiotropism

Explanation: Pleotropism refers to single gene defect causing multiple traits. Penetrance- extent to which a particular gene or set of genes is expressed in the phenotypes of individuals carrying it Pseudodominance- sudden appearance of a recessive phenotype in a pedigree, due to deletion of a masking dominant gene Anticipation- disease manifestation worsen from 1 generation to next